Which of the following is used in the treatment of differentiated thyroid cancer
1. 131I
2. 99mTc
3. 32P
4. 131I-MIBG

Correct answer: 1. 131I

Explanation: 131I can be used for scanning for metastasis from differentiated thyroid cancers as well as for the ablation of differentiated thyroid cancer cells.